Subarachnoid hemorrhage blood is collected mostly in which part of the skull -
1. Basal cistern
2. Around Fah carebri
3. Near cerebellum
4. Tentorium

Correct answer: 1. Basal cistern

Explanation: Answer- A. Basal cisterncausative factor-Exclude underlying aneurysmal ruptureTypical location-Basal cisternsClinical profileHeadache,meningismusdelayed manifestations,vasospasm